Which of the following is not true about Berger's disease -
1. The pathological changes are proliferative and usually confined to mesangial cells; usually focal and segmental
2. Hematuria may be gross or microscopic
3. On immunofluorescence deposits contain both IgA and IgG
4. Absence of associated proteinuria is pathognomonic

Correct answer: 4. Absence of associated proteinuria is pathognomonic

Explanation: Ans. is 'd' i.e., Absence of associated proteinuria is pathognomic"Proteinuria may or may not be associated" ?IgA nephropathv (Berger nephropathv) It is the most common type of glomerulonephritis world wide.Children and young adults are commonly affected.It occurs after an upper respiratory tract infection or gastrointestinal infection. Clinical presentationGross hematuria within 1-2 days after on upper respiratory tract infection. This feature distinguish it from PSGN. In PSGN hematuria occurs 7-21 days after respiratory infection.o Can also present with nephritic or nephrotic syndrome.o Mild to moderate hypertension.PathologyFocal and segmental mesangial proliferation.o IgA deposition in mesangium often with C3 and properdin (IgG is present in 50% of cases). o There is mesangial hypercellularity, sclerosis; with electron dense deposition.o Serum complement level is normal. This feature also differentiates it from PSGN. In PSGN complement (C3) level is decreased.Whereas IgA nephropathy is an isolated renal disease, similar IgA deposits are also found in systemic disorders of children like Henoch shonlein purpura, which also have renal vasculitis as a component In view of the high frequency of IgA nephropathy in children, IgA can be used as marker for renal vasculitis.